'Hairy cell leukemia' is a Neoplastic proliferation of :
1. T. cells
2. B. cells
3. Myeloid cells
4. Macrophages

Correct answer: 2. B. cells

Explanation: Answer is B (B Cells) Wain' Cell is a rare hut distinctive B-cell neoplasm. Hairy cell leukemia review : Presentation is with a triad of : Splenomegaly Q :often massive. However hepatomegaly is less common while lymphadenopathy is rare. Pancytopenia Q and thereby, resulting infections. Vasculitis like syndrome Q :Erythema nodosum and cutaneous nodules due to perivasculitis and PAN. Course : Hairy cell leukemia follows an indolent course.Q